False about 'SEPS' procedure is:
1. Used for incompetent perforators .
2. Procedure is done with the help of endoscope .
3. Vascular clip is applied above the level of deep fascia .
4. None of the above

Correct answer: 3. Vascular clip is applied above the level of deep fascia .

Explanation: Subfascial endoscopic perforator vein surgery (SEPS) SEPS is a new endoscopic technique for the management of chronic insufficiency due to incompetent perforator veins. SEPS involves insertion of a rigid endoscope through the skin and fascia to a plane below the deep fascia, such that perforator veins are visible as they exit the muscles. These perforator veins are dissected free from surrounding tissue and closed with the help of metal clips.